Pendred's syndrome is due to a defect in
1. Chromosome 7p
2. Chromosome 7q
3. Chromosome 8p
4. Chromosome 8q

Correct answer: 2. Chromosome 7q

Explanation: Pendred disease is an autosomal recessive disorder leading to congenital bilateral sensorineural hearing loss and goitre with euthyroid or mild hypothyroidism. It has been linked to mutations in the PDS gene, which codes for the pendrin protein. The gene is located on the long arm of chromosome 7 (7q) Ref : Dhingra 7e pg 130.